Best predictor of Cardiovascular risk amongst the following -
1. Antichlamydial antibody
2. Lipoprotein (a)
3. C reactive protein (CRP)
4. Homocysteine

Correct answer: 3. C reactive protein (CRP)